The following are part of Hamstrings -a) Semitendinosusb) Semimembranosusc) Gracilisd) Short head of biceps femorise) Sartorius
1. ac
2. ab
3. ad
4. bc

Correct answer: 2. ab

Explanation: Hamstrings
-        Semimembranosus
-        Semitendinosus
-        Long head of biceps femoris
-        Ischial head of adductor magnus